Which of the following is a false statement about the respective fungal infections?
1. Candida albicans causes skin infection
2. Superficial layers of skin are involved
3. Microsporium involves nail
4. Epidermophyton doesn't involve hair

Correct answer: 3. Microsporium involves nail

Explanation: Microsporium doesn't involve nail. Trychophyton involves skin, nail and hair.